In AIDs control programme, For treatment of STDs, blue colored pack is used for treatment of-
1. Urethral discharge
2. Scrotal swelling
3. Genital ulcers
4. Ano-rectal discharge

Correct answer: 3. Genital ulcers

Explanation: Ans. is 'c' i.e., Genital ulcer NACO centers providing A (as of sept 2006) The National AIDS control organization (NACO) has increased the numbers of centres providing A from 54 to 91 centres with another 9 more centres also getting operational soon. All the 9lcentres have specially appointed and trained doctors, counsellors and laboratory technicians to help initiate patients on A and follow them regularly. At these 91 centres medicines for treating 85000 patients have been made available. The A is a combination of three potent drugs, which is being given to the persons with advanced stage of AIDS. Apart from providing free treatment, all the A centres are providing counselling to the infected persons so that they maintain regularly of their medication. ACO has branded the STI/I services as "Suraksha clinic" and has developed a communication strategy for generating demand for these services.